In DUB, there is:
1. Increased estrogen
2. Decreased receptors of progesterone
3. Decreased receptors of estrogen
4. Pituitary imbalance of hormones

Correct answer: 1. Increased estrogen

Explanation: Ans. is a, i.e. Increased estrogenRef: Shaw 15th/ed, p301DUB is mainly anovulatory:Bleeding occurs due to the hypertrophy and hyperplasia of the endometrium induced by a high titer of estrogen in the circulating blood is absence of progesterone.This is the reason why initially due to lack of progesterone patients complain of amenorrhea and later on, due to excessive estrogen they complain of excessive bleeding.